Which of the following antiparkinsonian drugs directly activates dopaminergic D2 receptors in the striatum?
1. Pramipexole
2. Entacapone
3. Benserazide
4. Selegiline

Correct answer: 1. Pramipexole

Explanation: (Ref: KDT 6/e p419, 420) Directly acting D2 receptor agonists can be Ergot derivatives e.g. bromocriptine and pergolid Non-ergot compounds e.g. pramipexole and ropinirole